In Staphylococci, plasmids encoding beta-lactamase are transmitted by :
1. Conjugation
2. Transduction
3. Transposon
4. Transformation

Correct answer: 2. Transduction

Explanation: Beta-lactamase are encoded by plasmids that can be transferred with the help of bacteriophage (transduction) in staphylococci and by transformation in Pneumococci.